Commonest dislocation of the hip is
1. Posterior
2. Anterior
3. Central
4. None

Correct answer: 1. Posterior

Explanation: A i.e. Posterior